Specificity is represented by ?
1. True positive/true positive + false negative
2. True negative/true positive + false negative
3. True positive/true negative + false positive
4. True negative/true negative + false positive

Correct answer: 4. True negative/true negative + false positive

Explanation: Ans. is 'd' i.e., True negative/true negative + false positive